Bones of the cranial base include which of the following?
1. Maxilla, mandible, and cranial vault
2. Ethmoid, sphenoid, and occipital
3. Palatal, nasal, and zygoma
4. Frontal and parietal

Correct answer: 2. Ethmoid, sphenoid, and occipital

Explanation: The cranial base includes, from anterior to posterior, the ethmoid, sphenoid, and occipital bones.